Case control study is an example of -
1. Prospective study
2. Retrospective study
3. Combined retrospective and prospective study
4. Study at one point of time

Correct answer: 2. Retrospective study

Explanation: Ans. is 'b' i.e., Retrospective study Case control studyo Case control study is a common first approach to test causal hypothesis.o Caseo Control--Case is an individual who has developed the disease.Is an individual who has not developed the disease but is otherwise comparable to case (e.g. age, sex, occupation, social status etc).o The case - control study has three distinct features -Both exposure (risk factor) and outcome (disease) have occurred before the start of study - so, there is no further risk for subjects.Study proceeds backwards from effect to cause - retrospective study.It uses a control or comparison group to support or refute an inference.o The focus is on a disease that has already developed.o Association between risk factor and disease can be tested - risk factor can be identified,o For example, if it is our intention to test the hypothesis that cigarette smoking causes lung cancer, the investigation begins by assembling a group of lung cancer cases (a + b) and a group of suitable matched control (not having lung cancer). Then past history for the presence or absence of smoking is explored in both groups.Suspected risk factorCases(disease present)Control(disease absent)PresentAbsentacbda + cb + do If the frequency of smoking, a / (a + c) is higher in cases than in control b / (b +# d), an association is said to exist between smoking and lung cancer.